Which of the following is an analgesic which does not inhibit prostaglandin synthesis?
1. Nefopam
2. Tenoxicam
3. Ketorolac
4. Piroxicam

Correct answer: 1. Nefopam

Explanation: Nefopam is nonopioid analgesic and does not inhibit prostaglandin synthesis relieves traumatic, postoperative, short lasting musculoskeletal pain produce anticholinergic and sympathomimetic side effects Ref: KD Tripathi 8th ed ESSENTIALS OF MEDICAL PHARMACOLOGY;7TH EDITION;KD TRIPATHI;PAGE NO 208